Therapeutic drug monitoring is required for
1. Prodrugs
2. Levodopa
3. Lithum carbonate
4. MAO inhibitor

Correct answer: 3. Lithum carbonate

Explanation: Ref-KDT 6/e p434,435 Indications for therapeutic drug monitoring include: There is an experimentally determined relationship between plasma drug concentration and the pharmacological effect. Knowledge of the drug level influences management. There is a narrow therapeutic window. There are potential patient compliance problems. The drug dose cannot be optimised by clinical observation alone. Examples of drugs analysed by therapeutic drug monitoring: Aminoglycoside antibiotics (gentamicin) Antiepileptics (such as carbamazepine, phenytoin and valproic acid) Mood stabilisers, especially lithium citrate Antipsychotics (such as pimozide and clozapine) Biologic monoclonal antibody drugs (such as adalimumab, certolizumab pegol and infliximab) Therapeutic drug monitoring can also detect poisoning with above drugs, should the suspicion arise.